Causes of facial palsy are -
1. Bell's palsy
2. Herpes infection
3. Acoustic neuroma
4. All of the above

Correct answer: 4. All of the above